Which liver disease/s is/are associated with ductopenia?
1. Chronic graft rejection
2. Hepatic sarcoidosis
3. Paraneoplastic syndrome related to hodgkins lymphoma
4. All the above

Correct answer: 4. All the above

Explanation: Ans. is 'd' i.e., All the above Ductopenia* Loss of bile ducts from the portal tracts is referred to as ductopenia.* Ductopenia is most commonly seen related to chronic allograft rejection however it can be seen in many disease including drug related injury, primary biliary cirrhosis, primary sclerosing cholangitis, chronic graft- vs-host disease, hepatic sarcoidosis, paraneoplastic syndrome related to Hodgkin disease, and syndromic paucity of bile ducts (Alagille syndrome).* Ductopenia can be identified by looking for unpaired hepatic arteries or by the aid of immunohistochemical stain CK7.* Typically a minimum loss of 30% (early/evolving chronic ductopenic allograft rejection) of bile ducts is required for a diagnosis and most cases of ductopenia are defined by loss of at least 50% of bile ducts.* Due to sampling issues, at least 10-12 portal tracts must be present to accurately evaluate bile duct loss.